All of the following are components of White pulp of spleen, except:
1. Periarteriolar lymphoid sheath
2. Lymphatic follicle
3. B lymphocytes
4. Vascular sinus

Correct answer: 4. Vascular sinus

Explanation: PAS OF WHITE PULP Periarteriolar lymphoid sheaths (PALS) are typically associated with the arteriole supply of the spleen; contain T lymphocytes. Lymph follicles with dividing B lymphocytes are located between PALS and marginal zone. IgM & IgG2 are produced in this zone; these molecules play a role in opsonization of extracellular organisms, encapsulated bacteria in particular. Marginal zone is located further away from the central arteriole (in proximity to red pulp), it contains antigen presenting cells (APCs). - Red pulp (~ 90%) of spleen have venous sinusoids and splenic cords(of Billroth)